Normal Portal venous pressure is:
1. 5-10 mm Hg
2. 10-15 mm Hg
3. 15-20 mm Hg
4. 20-255 mm Hg

Correct answer: 1. 5-10 mm Hg

Explanation: Normal portal pressure is 5-10 mm Hg (Schwartz) Normal Portal pressure is 5-8 mm Hg (Kumar and Clark)Portal systemThe portal vein drains blood from the small and large intestines, stomach, spleen, pancreas, and gallbladder.The superior mesenteric vein and the splenic vein unite behind the neck of the pancreas to form the portal vein.The portal trunk divides into 2 lobar veins.The right branch drains the cystic vein, and the left branch receives the umbilical and paraumbilical veins that enlarge to form umbilical varices in portal hypertension.The coronary vein, which runs along the lesser curvature of the stomach, receives distal esophageal veins, which also enlarge in portal hypertension.